True about Kaplan Meier analysis are all except:-
1. It is a type of Survival analysis
2. Used as mortality indicator
3. To see how patient survival is increasing/benefitiing with treatment
4. Non-parametric statistic used to estimate the survival function from lifetime data

Correct answer: 2. Used as mortality indicator

Explanation: Kaplan Meier Analysis:- Kaplan-Meier estimator, also known as the product limit estimator, is a non-parametric statistic used to estimate the survival function from lifetime data. In medical research, it is often used to measure the fraction of patients living for a certain amount of time after treatment. Done for chronic diseases like cancer at 5 yearly intervals to see how patient's survival is decreasing with/without treatment.